Which among the following is not a feature of peripheral arterial occlusion?
1. Shock
2. Pallor
3. Pain
4. Pulselessness

Correct answer: 1. Shock